A normal healthy child has a height of 100 cm and weighs 16 kg. What is his most likely age_______
1. 3 years
2. 4 years
3. 5 years
4. 6 years

Correct answer: 2. 4 years

Explanation: Height doubles by 4 yrs .Since length at birth is 50 cm . Height becomes 100 cm by 4 yrs. Weight =2y +8 = 16 by Weech formula for 1 to 6 yrs. So y =16-8/2 = 8/2=4 yrs Reference: GHAI Essential pediatrics, 8th edition